Which is not true for white infarct
1. Wedge shaped area with apex pointing towards arterial obstruction
2. Can be transiently red
3. Seen in loose tissues
4. Caused by arterial obstruction

Correct answer: 3. Seen in loose tissues

Explanation: White (Pale/Anemic) Infarcts

Affect solid organs - spleen, heart kidneys
Ischemic infarcts - occlusion of artery

Red (Haemorrhagic) lnfacrts

Affect loose. tissues with dual circulation - lungs, testis, ovary, small intestine
Occlusion of vein - collection of blood